All of the following are used for giving skeletal traction, except
1. Steimann's pin
2. Kirschner's wire
3. Bohler's stirrup
4. Rush pin

Correct answer: 4. Rush pin

Explanation: Skeletal traction: The traction is applied directly to the bone by inserting a K-wire or Steinmann pin through the bone. All the given options can be used for giving skeletal traction except Rush nail which is an intramedullary nail used for long bone fracture. Eg. Fibular Fracture. REF:Maheswari 9TH ED pg: 26